Among the following IUCD's which has life span for 10 years?
1. CuT380A
2. CuT200
3. Nova T
4. Multiload

Correct answer: 1. CuT380A

Explanation: Ans. is a, i.e. CuT380ARef: Shaw 15th/ed, p227; Novak 14th/ed, p263Most of the IUCDs have an average life span of 3 years.Exceptions are:* Nova T/Multiload 375/Levonova- 5 years* CuT 380 A (also known as Paragard)- 10 years - Distributed free of cost* Progestasert- 1 years* CuT200 B- 4 years, in US and 3 years in India and in European countries* Levonorgestrel containing IUCD can be used for: (Mirona)- 7-10 years, but is approved for 5 years